Features of papilloedema include all except:
1. May be due to intracranial haemorrhage
2. Disc becomes elevated
3. Cotton wool spots may be seen
4. Vision is impaired

Correct answer: 4. Vision is impaired

Explanation: Ans. Vision is impaired